The purpose of double blinding in clinical trails is to-
1. Achieve comparability between study and control groups
2. Avoid observer bias
3. Avoid subject bias
4. Avoid observer and subject bias

Correct answer: 4. Avoid observer and subject bias

Explanation: There may be bias in randomized control trials. Randomization cannot guard against these so of bias, nor the size of the sample. In order to reduce these problems, a technique known as blinding is adopted. Ref: 25th edition, Park's Textbook of Preventive and Social Medicine, Page no. 91